All of the following structures develops from 2nd brachial arch, EXCEPT:
1. Buccinator
2. 7th cranial nerve
3. Anterior belly of digastric
4. Stapes

Correct answer: 3. Anterior belly of digastric

Explanation: The second branchial arch forms bony and muscular structures from the ear (proximally) to the hyoid bone (distally), including the muscles of facial expression that are innervated by the facial nerve (cranial nerve (CN) VII). The posterior belly of digastric muscle develops from the mesoderm of second branchial arch hence it is supplied by the facial nerve. The anterior belly develops from the mesoderm of first branchial arch and hence supplied by mandibular nerve.